All are parts of the anterior segment of eye except
1. Lens
2. Cornea
3. Vitreous
4. None

Correct answer: 3. Vitreous

Explanation: Anterior segment of the eye consists of a crystalline lens, & structures anterior to it, viz., iris, cornea & two aqueous filled spaces- anterior and posterior chamber Vitreous is a posterior segment structure, which is situated posterior to lens, like vitreous humor, retina, choroid & optic disc Reference : A K KHURANA Comprehensive Ophthalmology edition 6, page-3